Time sector scanning of neonates is preferred because of the following reason most practical reason:
1. Open fontanelles
2. Inexpensive
3. Children more co-operative
4. Better resolution

Correct answer: 1. Open fontanelles

Explanation: Ans. Open fontanelles